Tear drops formed by all except ?
1. Glands of Manz
2. Meibomian, Zeis and Moll glands
3. Lacrimal glands
4. Lacrimal puncta

Correct answer: 4. Lacrimal puncta

Explanation: Ans. is 'd' i.e., Lacrimal puncta The major function of lacrimal apparatus is to secrete and drain the tear. Tear film consists of 3 layers :? Mucous or mucin layer (innermost):- Secreted by conjunctival goblet cells, crypts of Henle, glands of Manz. Aqueous layer (intermediate) :- This forms the bulk of the tear. It is secreted by main lacrimal and accessory lacrimal glands. Lipid layer (outermost) :- Secreted by the Meibomion Zeis, and Moll glands.